Aims of abbreviated laparotomy
1. Decreased chance of infection
2. Early ambulation
3. Early wound healing
4. Hemostasis

Correct answer: 4. Hemostasis